Which of the following is true about anaphylaxis:
1. It is mediated by allergen specific IgE
2. Type-I hypersensitivity reaction
3. Cytokines like IL4, IL5 and IL6 along with histamine is released
4. All of the above

Correct answer: 4. All of the above

Explanation: Ans. D: All of the above Anaphylaxis is an acute multi-system severe type I hypersensitivity reaction. Based on the pathophysiology, anaphylaxis can be divided into "true anaphylaxis" and "pseudo-anaphylaxis" or "anaphylactoid reaction." The symptoms, treatment, and risk of death are the same; however, "true" anaphylaxis is caused by degranulation of mast cells or basophils mediated by immunoglobulin E (IgE), and pseudo-anaphylaxis occurs without IgE mediation